Which of the following is/are arboviral diseases ?
1. Japanese encephalitis
2. Dengue
3. Yellow fever
4. All

Correct answer: 4. All

Explanation: Ans is 'a' i.e., Japanese encephalitis; 'b' i.e., Dengue & 'c' i.e., Yellow fever